8 year old boy has itchy rash all over the body, all family members are affected. What is the drug of choice-
1. Ivermectin
2. Topic permethrin
3. Prednisolone
4. Antibiotics

Correct answer: 2. Topic permethrin

Explanation: Ans. is 'b' i.e., Topic permethrin This boy is having scabies. Topical permethrin is the DOC for scabies Treatment of scabies Scabicide Method of use Topical Permethrin (5%) - Drug of choice Single aplication of 12 hour. Gamma benzen hexachloride BHC 1% Single application for a hour Benzyl-Bezoate (25%) Three applications at 12 hourly intervals Crotamiton (10%) Two application daily 14 days o Malathion (0.5%) Oral Ivermectin Single dose 200 mg/kg body-weight, repeat after 2 weeks Note : BHC is not safe in pregnancy and children (< 2 years) as it can cause neurotoxicity